Telefono means -
1. Beating on soles
2. Beating on palms
3. Beating on ears
4. Pulling of hair

Correct answer: 3. Beating on ears

Explanation: Ans. is 'c' i.e., Beating on ears o Telefono: Simultaneous beating of both ears with the palm of hands. This may lead to rupture of tympanic membrane, causing pain, bleeding and hearing loss. It is difficult to detect this. The external ear may also get tom during pulling of the ears.o Falanga : beating of soles with blunt object. It is the most common type of torture. It can cause immediate & long term consequences, even disability.